The following hepatitis virus is transmitted by faeco-oral route:
1. Hepatitis B Virus
2. Hepatitis C Virus
3. Hepatitis D Virus
4. Hepatitis E Virus

Correct answer: 4. Hepatitis E Virus